Which is not an important symptom of asthma:
1. Intermittent dyspnea
2. Wheeze
3. Cough
4. Expectoration

Correct answer: 4. Expectoration

Explanation: Ans. D. ExpectorationSymptoms (Triad) of asthmaa. Cough (often nocturnal) Dry cough is the earliest featureb. Intermittent dyspnea,c. Wheeze, (is the pathognomic feature).* Symptoms are worst at night* Nasal polyp and sensitivity to aspirin can occur an AsthmaSignsa. Tachypneab. Audible wheezec. Hyperinflated chestd. Widespread, polyphonic rhonchie. Increased length of expiratory phase of breathingf. FEV1<50%Features of Severe attack:a. Inability to speak complete sentence in one breathb. Pulse >120 per minutec. Respiratory rate >25/mind. Pulsus paradoxus of >10mmHge. FEV1 between 33 to 50% of predictedFeature of Life-threatening attack:a. Silent chestb. Cyanosisc. Bradycardiad. 4. Confusion (altered sensorium)e. FEV1<33% of predictedf. Respiratory acidosisg. Hypercapnia